In Refeeding syndrome - lab values to be monitored are all except
1. Calcium levels
2. Magnesium levels
3. Phosphate levels
4. Ammonia

Correct answer: 4. Ammonia

Explanation: This is characterised by severe fluid and electrolyte shifts in malnourished patients undergoing refeeding. It can occur either with enteral or parenteral nutrition, but more common with latter It results in hypophosphataemia, hypocalcaemia, hypomagnesaemia. These electrolyte disorders can result in altered myocardial function, liver dysfunction, seizures, confusion, coma, tetany and death. Patients at risk are those with alcohol dependency, those suffering severe malnutrition, anorexic and those who have undergone prolonged periods of fasting. Treatment involves matching intakes with requirements and assiduously avoiding overfeeding. Calorie delivery should be increased slowly and vitamins administered regularly. Hypophosphataemia and hypomagnesaemia require treatment. Ref: Bailey and love 27th edition Pg no :288